Functional unit of kidney is:
1. Nephron
2. Glomerulus
3. Collecting ducts
4. Loop of Henle

Correct answer: 1. Nephron